Earliest radiological feature of ulcerative colitis
1. Mucosal granularity
2. Pseudo polyps
3. Thumb printing
4. Loss of haustral folds

Correct answer: 1. Mucosal granularity

Explanation: Mucosal granularity is earliest sign.